In HLA system, the cluster of genes are located in
1. Chromosome 6
2. Chromosome 21
3. X-Chromosome
4. Y-chromosome

Correct answer: 1. Chromosome 6

Explanation: (Chromosome 6) (133-A)* Major histocompatibility complexes (MHC) also known as the HLA system (after human leucocyte antigen)This is a cluster of gene on chromosomes 6 that is responsible for immunological specificity* The proteins for which they code are attached to cell surfaces and act as "chaperones" for foreign antigens which have to be accompanied by HLA before they are recognized and engaged by the body's T-cells